LSD is known by the following names except
1. Acid
2. Microdot
3. Love drug
4. Purple haze

Correct answer: 3. Love drug

Explanation: LSD - other names - Acid, microdot, purple haze, white lightening - Love drug - MDMA/ Ecstacy